All of the following statements regarding Rheumatoid arthritis are true, except?
1. IgM antibody directed against Fc part of IgG
2. Morning stiffness
3. Raised ESR
4. C - Reactive protein suggests a good prognosis

Correct answer: 4. C - Reactive protein suggests a good prognosis

Explanation: High ESR and CRP are associated with poor prognosis in rheumatoid arthritis. Rheumatoid factor (IgM antibody directed against Fc portion of IgG) and anti CCP antibody are present in 70-80% of cases. Anti CCP antibody are the most specific blood test for rheumatoid arthritis.